Dimorphic fungi behaves like yeast at:
1. < 10degC
2. Body temperature
3. > 40degC
4. In vitro

Correct answer: 2. Body temperature

Explanation: Ans. b. Body temperature